Long term steroid therapy can lead to suppression of hypothalamic-pituitary- adrenal axis. It can be overcome by using alternate day therapy with corticosteroids. Which of the following steroids are unsuitable for alternate day therapy for such purpose?
1. Cortisol
2. Prednisolone
3. Betamethasone
4. Hydrocortisone

Correct answer: 3. Betamethasone

Explanation: Glucocorticoids : Anti-inflammatory Short acting : Cortisone, Hydrocortisone Intermediate : Prednisone, Prednisolone, Triamcinolone Long acting : Dexamethasone, Betamethasone and Paramethasone Betamethasone is long acting having half life 36-72 hrs so it is not suitable for alternate day therapy as it will not be excreted out till the time of next dose.